A 26 year-old man presents with mild gastroenteritis gives the history of consumption of raw fish few days back. There is no blood or pus in the stool. Culture grown in Wagatsuma agar. Which causative agent is most likely to have caused this illness?
1. Vibrio cholerae
2. Salmonella typhi
3. Shigella sonnei
4. Vibrio parahaemolyticus

Correct answer: 4. Vibrio parahaemolyticus

Explanation: Vibrio cholerae causes classic cholera, which is not generally mild or self- limited. Vibrio parahaemolyticus causes a relatively mild gastroenteritis. It is also found in raw fish. Selective medium is Wagatsuma agar. S. typhi is the causative agent of typhoid. Shigella infections are always invasive and generally will have a little pus in the stool.